The shortest diameter of fetal head :
1. Biparietal diameter
2. Suboccipitofrontal diameter
3. Occipitofrontal diameter
4. Bitemporal diameter

Correct answer: 4. Bitemporal diameter

Explanation: Bitemporal and biparietal diameters are transverse diameters whereas suboccipitofrontal and occipitofrontal are the anteroposterior diameters Bitemporal diameter is 8 cm Ref: Datta Obs 9e pg 77.